Which of the following conditions most rapidly produce functional deficiency of vitamin k
1. Premature delivery of the baby
2. Pure vegan diet
3. Broad spectrum antibiotics consumption
4. Warfarin therapy

Correct answer: 4. Warfarin therapy

Explanation: Warfarin prevents the recycling of vitamin K by blocking the activity of Vitamin K epoxide reductase, thus creating a functional vitamin K deficiency.